Fracture treatment can be described as:
a. Reduction
b. Retention
c. Rehabilitation
d. Reunion.
1. A, B, C
2. A, C, D
3. A, B, D
4. B, C, D

Correct answer: 1. A, B, C

Explanation: Fracture treatment can be best described as Reduction, Retention, Rehabilitation.